Conscious proprioception is carried by
1. Dorsal column fibres
2. Anterior spinothalamic tract
3. Lateral spinothalamic tract
4. Vestibular tract

Correct answer: 1. Dorsal column fibres

Explanation: Sensations carried by posterior column
-        Proprioception, Vibration, kinesthesia, fine touch.
Sensations carried by anterolateral column
-        Temperature, pain (lateral) and crude touch (anterior)